The gold standard investigation for Gastro-esophageal reflux disease is
1. Endoscopy
2. 24 hour ph recording
3. Oesophageal manometry
4. None of the above

Correct answer: 2. 24 hour ph recording

Explanation: 24 hour ph monitoring of distal esophagus provides quantitative sensitive documentation of acidic reflux episodes.